Reverse transcriptase is
1. DNA dependent RNA polymerase
2. RNA dependent DNA polymerase
3. DNA dependent DNA polymerase
4. RNA dependent RNA polymerase

Correct answer: 2. RNA dependent DNA polymerase